Akinesia and mutism is
1. Coma
2. Torpor
3. Stupor
4. Twilight state

Correct answer: 3. Stupor

Explanation: Stupor  / semicoma is characterized by akinesia(lack of movement) and mutism(decreased nerbal response).